NOT an aryl phosphate:
1. Parathion
2. Malathion
3. Follidol
4. Tik-20

Correct answer: 2. Malathion

Explanation: Ans. Malathion